Myofunctional appliances are
1. Active removable appliances
2. Passive appliances delivering forces from surrounding oral and periodontal tissues
3. Semi-fixed appliances
4. Fixed appliances

Correct answer: 2. Passive appliances delivering forces from surrounding oral and periodontal tissues